Oxygen dissociation curve shift to right in:
1. Hypothermia
2. Hypercarbia
3. Fetal Hb
4. All

Correct answer: 2. Hypercarbia

Explanation: B i.e. Hypercarbia